Which of the following drugs is avoided in a patient with high serum creatinine (> 3 mg/dl) ?
1. Gentamicin
2. Azithromycin
3. Moxifloxacin
4. Amlodipine

Correct answer: 1. Gentamicin